A scientist Dr. Gobind was asked to participate in a research project on myocardial infarctions in a rabbit model. Which of the following occurs in ischemic cell injury?
1. Efflux of K+ and Na+
2. Influx of K+ and Ca++
3. Influx of K+ and H 2O
4. Influx of Na+ and Ca++

Correct answer: 4. Influx of Na+ and Ca++

Explanation: Ischemia leads to less ATP formation and therefore increased entry of sodium and calcium ions inside the cell.